Which of these best describes the renal angle -
1. Angle between the lattissimus dorsi and the 12th rib.
2. Angle between the erector spinae and the iliac crest
3. Angle between the 12th rib and the erector spinae
4. Angle between the 12th rib and the rectus abdominis

Correct answer: 3. Angle between the 12th rib and the erector spinae